Which fertility indicator gives the approximate magnitude of 'completed family size':
1. General fertility rate
2. Age-specific fertility rate
3. Total fertility rate
4. Gross reproduction rate

Correct answer: 3. Total fertility rate

Explanation: Ans: C i.e. Total fertility rate TFR is average number of children a woman would bear in her reproductive life span.